Oschner sherren regime is used in management of
1. Appendicular abscess
2. Chronic appendicitis
3. Appendicular mass
4. Acute appendcitis

Correct answer: 3. Appendicular mass

Explanation: Ans is 'c' i.e. Appendicular mass If an appendix mass is present and the condition of the patient is satisfactory, the standard treatment is the conservative Ochsner-Sherren regimen. This strategy is used as the inflammatory process is already localised and that inadvertent surgery is difficult and may be dangerous. It may be impossible to find the appendix and, occasionally, a faecal fistula may form. For these reasons, it is wise to observe a non-operative programme but to be prepared to operate should clinical deterioration occur. Criteria for stopping conservative treatment of an appendix mass A rising pulse rate Increasing or spreading abdominal pain Increasing size of the mass Ochsner-Sherren regimen comprises hospitalization, intravenous fluids, antibiotics, analgesics and a strict watch on the vitals and general state of the patient. In 90-80% of the patients, the mass resolves without complications. The remaining 10-20% need emergency operation due to spreading infection.